Which of the following vitamin deficiency is found in patients with gastric cancer ?
1. Vitamin C
2. Vitamin B 12
3. Vitamin A
4. Vitamin D

Correct answer: 2. Vitamin B 12

Explanation: Gastric cancers can grow to an extent to cause damage to cells producing intrinsic factors and hence vitamin B12 deficiency. Vitamin B12 deficiency may also occur in post gastrectomy patients of gastric carcinoma, autoimmune pernicious anemia predisposing to gastric cancer and atrophic gastritis.